Dissociative anaesthesia is produced by
1. Ketamine
2. Etomidate
3. Propofol
4. Thiopentone

Correct answer: 1. Ketamine

Explanation: Dissociative anaesthesia is characterized by profound analgesia, immobility, amnesia with light sleep and feeling of dissociation from once own body and the surroundings - Cataleptic stateKetamine (phencyclidine) induces dissociative anaesthesia.(Refer: stoelting's pharmacology and physiology in anaesthetic practice, 5th edition, pg no.294)